Babesiosis is transmitted by bite of:
1. Mosquito
2. Sandfly
3. Reduviid bug
4. Tick

Correct answer: 4. Tick

Explanation: Ans. D. TickBabesia is an intraerythrocytic parasite like Plasmodium. It can be differentiated from malaria by Vector: TickPigments: AbsentGametocyte: Not seenCh forms: Maltese cross formsPatho: Less severe and cerebral features not seen.